Hairs are preserved in which poisoning:
1. Arsenic
2. Manganese
3. Phosphorous
4. Alcohol

Correct answer: 1. Arsenic

Explanation: Ans. A: Arsenic There are tests available to diagnose poisoning by measuring arsenic in blood, urine, hair, and fingernails. The urine test is the most reliable test for arsenic exposure within the last few days. Urine testing needs to be done within 24-48 hours for an accurate analysis of an acute exposure. Tests on hair and fingernails can measure exposure to high levels of arsenic over the past 6-12 months. These tests can determine if one has been exposed to above-average levels of arsenic.